Drug used for kala-azar
1. Diloxanide furoate
2. Metronidazole
3. Paromomycin
4. Spiramycin

Correct answer: 3. Paromomycin

Explanation: Ans. is 'c' i.e.,Paromomycin Drugs used for kala-azarParentral : Amphotericin-B (iv), Paromomycin (im), sodium stibogluconate (iv or im).Oral : Miltefosine